Panhypopituitarism in adults may lead to all of the following EXCEPT:
1. Loss of secondary sexual characteristics
2. Pigmentation of skin
3. Intolerance to cold
4. Infertility

Correct answer: 2. Pigmentation of skin

Explanation: Panhypopituitarism in adult leads to: - Hypothyroidism - intolerance to cold Depressed production of glucocorticoids by adrenal glands. Loss of sexual functions, d/t suppressed secretions of the gonadotropic hormones Pigmentation is due to effect of MSH secreted by pituitary. In panhypopituitarism, levels of MSH decreases thus no pigmentation of skin